Which of the following is an X-linked dominant disorder?
1. Vitamin D resistant rickets
2. Familial hypercholesterolemia
3. Red green color blindness
4. Achondroplasia

Correct answer: 1. Vitamin D resistant rickets

Explanation: Ref: Robbins Pathology 9th ed. pg. 142Vitamin D resistant ricketsPHEX gene. X linked dominantFamilial hypercholesterolemiaAutosomal recessiveRed green colour blindnessX linked recessiveAchondroplasiaAutosomal dominant